In a patient having HIV infections, oral ulcer is most commonly due to -
1. Candida
2. Cryptococcosis
3. Histoplasma
4. Trichophyton

Correct answer: 1. Candida

Explanation: Mouth often involved in AIDS with hairy leukoplakia or Kaposi's sarcoma due to esophageal candidiasis It is also known as Oral thrush REF:ANANTHANARAYANAN TEXTBOOK OF MICROBIOLOGY 9EDITION PGNO.576